Which of the following statements about changes in articular cartilage with ageing is not true:
1. Total proteoglycan content is decreased
2. Synthesis of proteogycans is decreased
3. Enzymatic degradation of proteoglycans is increased
4. Total water content of cartilage is decreased

Correct answer: 3. Enzymatic degradation of proteoglycans is increased

Explanation: Cartilage property Aging Osteoarthritis Hydration Decreased Increased ( in late OA its also decreased) Proteolytic enzymes Normal Increased Proteoglycan content Decreased(due to decreased synthesis) Decreased (due to increased destruction)